Not used in grams staining?
1. Methylene blue
2. Crystla violet
3. Iodine
4. Safranin

Correct answer: 1. Methylene blue

Explanation: GRAM STAINING 1)primary staining with a pararosaniline dye such as crystal violet, methyl violet, or gentian violet 2)application of a dilute solution of iodine 3) decolorization with an inorganic solvent such as ethanol, acetone, or aniline 4)counterstaining with a dye of contrasting color such as carbon fuchsin, safranine or neutral red REF:Ananthanarayan & Panicker's Textbook of Microbiology 8th Edition pg no: 15